Most common malignant bone tumor-
1. Osteogenic sarcoma
2. Secondaries
3. Osteoma
4. Enchondroma

Correct answer: 2. Secondaries

Explanation: Secondaries are most common malignant bone tumor.
Osteogenic sarcoma is the most common primary malignant bone tumor.
Osteoma is most common benign bone tumor.